Lymphangiosarcoma occurs in?
1. Lymphangiomas
2. Lymphomas
3. Lymphedema
4. Serous cavity tumors

Correct answer: 3. Lymphedema

Explanation: ANSWER: (C) LymphedemaREF: Sabiston 18th ed chapter 69"Lymphangiosarcoma is a rare tumor that develops as a complication of long-standing (usually more than 10 years) lymphedema"Clinically, patients present with acute worsening of the edema and appearance of subcutaneous nodules that have a propensity toward hemorrhage and ulceration. The tumor can be treated, as other sarcomas, with preoperative chemotherapy and radiation followed by surgical excision, which usually takes the form of radical amputation. Overall, the tumor has a poor prognosis